It is true regarding the normal microbial flora present on the skin and mucous membranes that -
1. It cannot be eradicated by antimicrobial agents
2. It is absent in the stomach due to the acidic pH.
3. It establishes in the body only after the neonatal period.
4. The flora in the small bronchi is similar to that of the trachea

Correct answer: 1. It cannot be eradicated by antimicrobial agents

Explanation: Resident Normal flora: Consists of relatively fixed types of microorganisms regularly found in a given area at a given age; if disturbed, it promptly reestablishes itself and cannot be removed permanently.